Melasma, during pregnancy is seen on:
1. Breast
2. Face
3. Abdomen
4. Limbs

Correct answer: 2. Face

Explanation: Ans. B: Face Chloasma gravidarum/ pregnancy mask is an extreme form of pigmentation around the cheek, forehead and around the eyes, during pregnancy Signs of pregnancy: Chadwick's sign: Congestion of pelvis causes bluish/ purplish hue of vagina/ cervix Goodell's sign: Cyanosis of softening of cervix Hegar's sign: Compressibility of isthmus on bimanual examination Piskacek's sign: Softening of cervix with lateral implantation Osiander's sign: Pulsations in lateral vaginal fornix Palmer's sign: Rhythmic contractions of uterus Weinberg sign: Abdominal pregnancy